Years of life lost due to premature death and years lived with disability is known as
1. HALE
2. DALY
3. Sullivan's index
4. HDI

Correct answer: 2. DALY

Explanation: DALY Number of years lost due to ill-health, disability or early death 1 DALY = 1yr of healthy life lost Ref : Park's Textbook of Preventive and Social Medicine; 23rd edition - Pgno. 26